Chronic adrenal insufficiency is characterized by all of the following:
1. Excess pigmentation
2. Asthenia
3. Weight gain
4. Hypoglycemic episodes

Correct answer: 3. Weight gain

Explanation: Answer is C (Weight gain): Adrenal insufficiency is- associated with weight loss and not weight gain, Weight gain is a feature of Cushing'S syndrome or Adrenal hyperfUnction and not of Adrenal insufficiency.